Which of the following is seen in both prokaryotes and eukaryotes:
1. Mitochondria
2. Ribosome
3. Endoplasmic reticulum
4. Lysosomes

Correct answer: 2. Ribosome

Explanation: Ans: b (Ribosomes) Ref: Ananthanarayan, 7th ed, p. 7Ribosomes are present in both prokaryotic and eukaryotic cells. ProkaryoticEukaryoticSizeSmallLarge 1000 to 10,000 timesCell wallRigidMembrane of lipid bilayerNucleusNot definedWell definedOrganellesNilSeveral-mitochondria lysosome etc.Muramic acidPresentAbsentSterolsAbsentPresentChromo somesOne (circular)More than one( linear)